In a chronic alcoholic patient all of the following drugs should be avoided except -
1. Cefamendole
2. Metronidazole
3. Chlorpropamide
4. Beclomethasone

Correct answer: 4. Beclomethasone

Explanation: Ans. is 'd' i.e., Beclomethasone o The drugs causing Disulfiram like actions (i) Chlorpropramide (iv) Citrated calcium carbamide (vii) Griseofulvin (ii) Cephalosporins (Cefoperazone, (v) Cynamide (viii) Procarbazine moxalactam, cefamandole) (vi) Animal charcol (ix) Tinidazine (iii) Metronidazole